Diagnosis of Hodgkin's disease is confirmed by
1. CT scan
2. Bone marrow biopsy
3. Lymph node biopsy
4. Lymphangiography

Correct answer: 3. Lymph node biopsy

Explanation: Ref : Bailey & Love 25/e p945